Hydroxylation of proline in collagen requires which of the following:
1. Vitamin C
2. Fe2++
3. a-ketoglutarate
4. All of the above

Correct answer: 4. All of the above

Explanation: Ans. D. All of the aboveProline and Lysine are hydroxylated to form hydroxyl proline and hydroxyl lysine in the presence of enzyme hydroxylase and requires Fe2++' ascorbic acid (Vitamin C), oxygen and a- ketoglutarate.